Distobuccal flange of mandibular denture is influenced by:
1. Masseter
2. Buccinator
3. Temporalis
4. Platysma

Correct answer: 1. Masseter